Adequate oxygen is delivered to the tissues in
1. Hypoxic hypoxia
2. Stagnant hypoxia
3. Anemic hypoxia
4. Histotoxic hypoxia

Correct answer: 4. Histotoxic hypoxia

Explanation: - In hypoxic, anemic, and stagnant types of hypoxia, oxygen delivery to tissues is reduced. In histotoxic hypoxia, oxygen delivered to tissues is normal; however, tissues are unable to utilize the oxygen.